Which is a reversible change -
1. Metaplasia
2. Anaplasia
3. Dysplasia
4. All of the above

Correct answer: 1. Metaplasia

Explanation: Dysplasia means disordered (abnormal) growth. It is partially reversible i.e. reversible in early stage and irreversible in the later stage.
Metaplasia is an adaptive change in which one adult (mature) cell type is replaced by another adult (mature) cell. It is completely reversible.
Anaplasia means lack of differentiation. Anaplasia is considered as a hallmark of malignant transformation. It is irreversible.